True about fibrates are all except
1. Drug of choice for type III hyperlipoproteinemia and severe hypertriglyceremia
2. Activate PRAR too stimulate LPL
3. Absorbed good on empty stomach and absorption is delayed by fatty meal
4. side effects are rash,urticaria,myalgia and impotence

Correct answer: 3. Absorbed good on empty stomach and absorption is delayed by fatty meal

Explanation: The fibrates primarily activate lipoprotein lipase which is a key enzyme in the degradation of VLDL resulting in lowering of circulating TGs. Main side effects are G.I. upset, myalgia, rashes. Fibrates act through peroxisome proliferator-activated receptor a (PPAR alpha) that is a gene transcription regulating receptor expressed in liver, fat, and muscles. Activation of PPARa enhances lipoprotein lipase synthesis and fatty acid oxidation. They are taken before meals. Thiazolidinediones prescribed for diabetics will block PPAR Gamma (REF. ESSENTIALS OF MEDICAL PHARMACOLOGY K.D TRIPATHI-6th edition.Page No-616,617)